A fracture of the mandible in the canine region in a 6 year old child should be managed by
1. Cap splint fixation
2. Intermaxillary fixation
3. Risdon wiring
4. Transosseous wiring

Correct answer: 1. Cap splint fixation